Which of the following is an endogenous cellular chemotactic factor?
1. Prostaglandins
2. Prostacyclins
3. Thromboxane
4. Leukotrienes

Correct answer: 4. Leukotrienes

Explanation: There are both exogenous and endogenous chemo attractant participate in chemotaxis. Exogenous chemotaxins include bacterial oligopeptides of the FMLP type, lectins, denutured proteins, some lipids and lipopolysaccharides. Endogenous chemotaxins are produced by the host organism and are of humoral (complement fragment C5a, C5desArg and Bart, fibrinopeptides, kallikrein and plasminogen activator) or cellular type (from different cells - LTB4, PAF, chemotactic cytokines etc.)